Which is not given at the time of birth?
1. OPV
2. BCG
3. Hepatitis B
4. HiB

Correct answer: 4. HiB

Explanation: Routine vaccination of Hib vaccine is started at the age of 2 months of age. The vaccine is usually given in infancy as repeated doses together with DPT vaccine. A time lag of 8 weeks between any two doses is ideal. A booster is recommended at 12-18 months of age. Reference: Ghai essential pediatrics 6th edition Page 197